True about secondary immune response is -a) Long latent periodb) Usually of low titrec) Antibodies appear in short timed) Persist for long
1. ab
2. cd
3. bd
4. ac

Correct answer: 2. cd